A 25 year old male is undergoing incision and drainage of abscess under general anaesthesia with Spontaneous respiration. The most efficient anaesthetic circuit is
1. Maplelson A
2. Mapleson B
3. Mapleson C
4. Mapleson D

Correct answer: 1. Maplelson A

Explanation: Mapelson breathing systems are classified as Mapelson A, B, C, D, E, F Mapelson A also known as Magill's circuit. Ranking of Mapelson's systems based on superiority as follows : Spontaneous ventilation : A>D,F,E>C,B Controlled ventilation : D, F, E>B,C>A Mapelson A is more efficient in spontaneous ventilation Mapelson D is more efficient in Controlled ventilation